All statement about Plummer Winson Syndrome are true except -
1. Commonly leads to carcinoma in lower third of esophagus
2. Common with iron deficiency
3. Common in females
4. Premalignant

Correct answer: 1. Commonly leads to carcinoma in lower third of esophagus

Explanation: Ans. is 'a' i.e., Commonly leads to carcinoma in lower third of esophagusPlummer-Vinson syndromeo Plummer-Vinson syndrome, also known as Brown-Kelly-Paterson syndrome or sederopenic dysphagia, seen in middle aged edentulous women.o The plummer Vinsion Paterson Brown Kelly Syndrome is characterized by: -DysphagiaChronic iron deficiency anemiaAtrophic oral mucosa and glossitisBrittle, spoon-shaped fingernails (Koilonychia)o The cause of dysphagia is usually a cervical esophageal web, but abnormal pharyngeal and esophageal motility may play a role.o The syndrome eharactersticallv occurs in middle aged edentulous (without teeth) women,o It is a premalignant lesion. Approximately 10% of patient develop squamous cell Ca of esophagus, oral cavity or the hypopharynx.o As iron-deficiency anemia is a common finding, it is also known as sideropenic dysphagia.o Carcinoma develops in post-cricoid region (not in lower third esophagus).